Most common infection in PANDAS:-
1. Streptococcus pyogenes
2. Staphlococcus aureus
3. Streptococcus pneumoniae
4. Mycobacterium tuberculosis

Correct answer: 1. Streptococcus pyogenes

Explanation: PANDAS Pediatric Autoimmune Neuropsychiatric Disorders Associated With Streptococcus pyogenes A group of neuropsychiatric disorders(eg obsessive-compulsive disorder, tic disorder, and tourette syndrome) for which a possible relationship with GAS infection has been hypothesized. This subset of patients may produce autoimmune antibodies in response to a GAS infection that cross react with brain tissue.